Mechanism of action of Latanoprost in glaucoma is -
1. Increase uveoscleral flow of aqueous
2. Trabecular absorption is increased
3. Decreases aqueous formation
4. All of the above

Correct answer: 1. Increase uveoscleral flow of aqueous

Explanation: Ans. is 'a' i.e., Increase the uveoscleral flow of aqueous Drugs used in open-angle glaucoma Mechanism Methods of Administration Cholinomimetics Pilocarpine, carbachol, physostigmine, echothiophate, demecarium Ciliary muscle contraction, opening of the trabecular meshwork, increased outflow Topical drops of gel; plastic film slow-release insert Alpha agonists Unselective Epinephrine, dipivefrin Increased outflow Topical drops Alpha2-selective Decreased aqueous secretion Apraclonidine Brimonidine Topical, post-laser only Topical Beta-blockers Timolol, betaxolol, carteolol, levobunolol, metipranolol Decreased aqueous secretion from the ciliary epithelium Topical drops Diuretics Dorzolamide, brinzolamide Decreased aqueous secretion due to lack of HCO3 Topical Acetazolamide, dichlorphenamide, Methazolamide Oral Prostaglandins Lantanoprost, bimatoprost, travoprost, unoprostone Increased outflow Topical